P.E.R.T. is a type of-
1. Input output analysis
2. System analysis
3. Network analysis
4. Work sampling

Correct answer: 3. Network analysis

Explanation: Ans. is 'c' i.e., Network analysis